All of the following statements are true for metaphysis of bone except -
1. It is the epiphyseal end of diaphysis
2. It is highly vascular
3. Growth activity is negligible here
4. Common site of osteomyelitis in children

Correct answer: 3. Growth activity is negligible here

Explanation: Metaphysis :

Epiphyseal ends of the diaphysis
It is the zone of active growth
Before epiphyseal fusion, it is richly supplied with blood through end arteries forming hairpin bends
Common site of osteomyelitis in children as bacteria or emboli are easily trapped in hairpin bends causing infarction.